Treatment of choice for fracture lower 1/4th of tibia in non-union with multiple scarred wounds and discharging sinuses and about 4 cm shortening of leg:
1. Ilizarov fixator
2. Plate
3. External fixation
4. Intramedullary nail

Correct answer: 1. Ilizarov fixator

Explanation: * Shortening with discharging sinus ILIZAROV FIXATOR is the preferred method. * External fixator serves the purpose of wounds or open fracture but not limb shortening while ilizarov fixator serves both purposes